Regarding bacterial vaginosis, all are true except :
1. Homogeneous vaginal discharge with pH 5.0 to 6.0
2. Positive KOH - With fishy odour
3. Positive clue cells in 100% of cases
4. It is due to Gardnerella vaginalis

Correct answer: 3. Positive clue cells in 100% of cases

Explanation: Amsel's four diagnostic criteria homogeneous vaginal discharge vaginal PH >4.5 positive whiff's test presence of clue cells >20% of cells D.C.DUTTAS TEXTBOOK OF GYNAECOLOGY,PG NO:152,6TH EDITION